In theophylline metabolism, drug interactions occurs with all Except :
1. Cimetidine
2. Phenobarbitone
3. Rifamipicin
4. Tetracyclines

Correct answer: 4. Tetracyclines